Sites at which the uvea is attached to the sclera include all of the following except
1. Vortex veins
2. Optic nerve
3. Scleral spur
4. Ora serrata

Correct answer: 4. Ora serrata

Explanation: Uvea is made up of Iris, Ciliary body and Choroid. Uvea is attached to sclera at 3 points 1. Scleral spur 2. Optic nerve 3. Exit point of vortex veins The ora serrata is not a point of attachment of choroid to sclera - it is the attachment of the neurosensory retina and choroid. Ora Serrata is the serrated peripheral margin where the retina ends. Here the retina is firmly attached both to the vitreous and the choroid